Cohort study is a type of -
1. Clinical trial
2. Analytic study
3. Descriptive study
4. Experimental study

Correct answer: 2. Analytic study

Explanation: Ans. is 'b' i.e., Analytic study Cohort study o Cohort study is a type of analytic observational study (like case control study). o Cohort study proceeds forward from cause to effect, i.e., disease has not occured in subjects (In contrast to case-control study which proceeds backward from effect to cause).